S 100 is a marker of?
1. Melanoma
2. Schwannoma
3. Histiocytoma
4. All of the above

Correct answer: 4. All of the above

Explanation: ANSWER: (D) All of the aboveREF: Robbins 7th ed p. 1235SI00 is normally present in cells derived from the neural crest (Schwann cells, melanocytes, and glial cells), chondrocytes, adipocytes, myoepithelial cells, macrophages, Langerhans cells, dendritic cells, and keratinocytes. It maybe present in some breast epithelial cells.Several members of the S -100 protein family are useful as markers for certain tumors and epidermal differentiation. It can be found in melanomas, 50% of malignant peripheral nerve sheath tumors, schwannomas, paraganglioma stromal cells, histiocytoma and clear cell sarcomas